In centric occlusion, the cusp tip of the maxillary
canine is in alignment with which mandibular tooth:
1. Facial embrasure of canine and premolar
2. Incisal embrasure of canine and premolar
3. Distal ridge of the cusp of mandibular canine
4. Mesial ridge on the facial cusp of mandibular first premolar

Correct answer: 1. Facial embrasure of canine and premolar